All are seen in Henoch schonlein purpura except ?
1. Thrombocytopenia
2. Glomerulonephritis
3. Arthralgia
4. Abdominal pain

Correct answer: 1. Thrombocytopenia

Explanation: Ans. is 'a' i.e., ThrombocytopeniaClinical manifestations of H.S.Purpura Constitutional symptomsFever, fatigue, malaise, Anorexia, weight loss. SkinThe hallmark of this disease is rash begining as pinkish maculopapules that initially blanch on pressure and progress to petechiae or purpura which are characterized by clinically as palpable purpura.o Purpura usually occurs on dependent areas of the body such as buttocks.Jointso Arthralgia or arthritis of large joints that involves primarily the joint of lower exterimities, i.e. knee & ankle.Migratory pattern of joint involvement occurs. Gastrointestinal tracto Abdominal pain and GI bleeding.o Diarrhoea (with or without visible blood) or hematemesis. o Intussusception may occur.Kidneyo Almost always appear after the development of skin manifestations.o The characteristic of kidney involvement is microscopic heamaturia due to glomerulonephritis.o Non-nephrotic range proteinuria.o There is deposition of IgA in the mesangium. Otherso Rarely CNS and pulmonary involvement may occur. Important lab findingsT ESRo T IgA1o Inspite of immune-complex deposition, complement levels are usually normal.A Hematuria, protenuria, RBC casts. o Mild to moderate leukocytosis.o Mild to moderate thrombocytosis (not thrombocytopenia)